An 18-year-old woman presents for follow-up of an abnormal Pap smear that revealed an abnormality suggestive of HPV infection. Which of the following was the likely cytopathologic finding?
1. Donovan bodies
2. Koilocytes
3. Clear cells
4. Fibroids

Correct answer: 2. Koilocytes

Explanation: Koilocytes are indicative of HPV-infected epithelial cells. Viral infection causes intracytoplasmic vacuolation that is apparent in cytopathologic and histopathologic preparations. Donovan bodies represent macrophages stuffed with numerous C.(Donovania) granulomatis organisms. Clear cells are characteristic of clear cell adenocarcinoma of the vagina. Paget cells are characteristic large cells surrounded by a clear, halo-like area that occur in Paget disease of the vulva and Paget disease of the breast.